Flat tympanogram is seen in -a) A.S.O.Mb) Otosclerosisc) Serous otitis media d) Ossicular chain disruption
1. a
2. ac
3. ad
4. b

Correct answer: 2. ac